A3 month baby will have -
1. Pincer grasp
2. Head control
3. Sitting with support
4. Transfer objects

Correct answer: 2. Head control

Explanation: Ans. is 'b' i.e., Head control o Pincer grasp develops by 9 months. o Head control develops by 3 months. o A child can sit with support by 5 months. o A chid can transfer the object from one hand to another by 5-7 months. o A child can use 2 words with meaning by 1 year.